A 6-week pregnant lady is diagnosed with sputum positive TB. Best management is:
1. Wait for 2nd trimester to start ATT
2. Start Category I ATT in first trimester
3. Start Category II ATT in first trimester
4. Start Category III ATT in second trimester

Correct answer: 2. Start Category I ATT in first trimester

Explanation: TB in Pregnancy Category 1 ATT can be safely given during pregnancy. Only first line drug contraindicated in pregnancy is streptomycin Pregnancy does not worsen the course of the disease although there is a higher risk of relapse during the puerperium. Pregnancy may worsen the maternal outcome in drug resistant patients. Consider MTP (induced abortion) in selected cases not responding to therapy, or cases of MDR TB, since most second line anti tubercular drugs are not safe in pregnancy